True statement about tetracycline is
1. Inhibiting protein synthesis by binding to 50s ribosomes in susceptible microorganisms
2. Tetracyclines have chelating property
3. Tetracyclines have anabolic activity
4. Tetracyclines are infrequently responsible for superinfection

Correct answer: 2. Tetracyclines have chelating property